The action of intramedullary 'K' nail is -
1. Two-point fixation
2. Three-point fixation
3. Compression
4. Weight concentration

Correct answer: 2. Three-point fixation

Explanation: K-nail is used for transverse or short oblique fracture of the femur, especially in the ischemic area.
K-nail (Kuntscher cloverleaf intramedullary nail) provides three points fixation due to elastic deformation.
These three points of fixation are both ends of bone (2 points) and isthmus (3rd point).